Roof of anatomical snuff box is formed by:
1. Cephalic vein and superficial branch of radial nerve
2. Basilic vein and superficial branch of radial nerve
3. Cephalic vein and radial artery
4. Basilic vein only

Correct answer: 1. Cephalic vein and superficial branch of radial nerve

Explanation: - Roof of anatomical snuff box is by cephalic vein and superficial branch of radial nerve . - The pulse of the radial arteryis palpable in the floor of the snuffbox against scaphoid bone. - Boundries of Anatomical snuff box- Posteromedially (ulnar border) -extensor Pollicis longus Anterolaterally (radial border) -extensor pollicis brevis and abductor pollicis longus. Floor-scaphoid,trapezium,base of 1st metacarpal and styloid process of radius. Content - radial artery (Pulse can be felt by palpating radial artery against scaphoid bone).